A specific test for gout is -
1. Raised serum uric acid level
2. Raised uric acid in synovial fluid of joint
3. Raised urea level
4. Raised urease enzyme level

Correct answer: 2. Raised uric acid in synovial fluid of joint

Explanation: Demonstration of intracellular monosodium urate crystals (MSU) in synovial fluid from affected joint is diagnostic of gout.